Intraocular pressure (IOP) was measured in 400 people. Mean was found to be 25 mm Hg and Standard deviation was recorded 10 mm Hg. 95% Confidence Interval would be?
1. 22-28
2. 23-27
3. 24-26
4. 21-29

Correct answer: 3. 24-26

Explanation: In the given question, Mean (u) = 25 mm Hg standard deviation = 10 mm Hg, Z95 = 1.96 (as we are asked 95% CI) Sample size, n =400 Confidence intervals (CI 95) = Mean +- Z95 (SE) CI-95 = 25 +- 1.96 (10/ [?]400) = 24-26 mm Hg